Cervical cancer extending to the lateral pelvic wall falls under stage
1. Stage IIA
2. Stage IIB
3. Stage IIIA
4. Stage IIIB

Correct answer: 4. Stage IIIB

Explanation: Cervical cancer is a clinically staged diseaseWhen there is doubt concerning the stage to which a cancer should be allocated, the earlier stage should be selected. After a clinical stage is assigned and treatment is initiated, the stage must not be changed because of subsequent findings by either extended clinical staging or surgical staging.StageDescriptionIThe carcinoma is strictly confined to the cervix (extension to the corpus should be disregarded)IAInvasive carcinoma that can be diagnosed only by microscopy, with deepest invasion <=5 mm and largest extension <=7 mm.IA1Measured stromal invasion <=3 mm in depth and extension of <=7 mmIA2Measured stromal invasion >3 mm and not >5 mm in depth with an extension of not <7 mmIBClinically visible lesions limited to the cervix uteri or preclinical cancers greater than stage IAIB1Clinically visible lesion <=4 cm in greatest dimensionIB2Clinically visible lesion >4 cm in greatest dimensionIICervical carcinoma invades beyond the uterus, but not to the pelvic wall or to the lower third of the vagina.IIAWithout parametrial invasion.IIA1Clinically visible lesion <=4 cm in greatest dimensionllA2Clinically visible lesion >4 cm in greatest dimensionIIBWith obvious parametrial invasionIIIThe tumour extends to the pelvic wall and/or involves the lower third of the vagina and/or causes hydronephrosis or non-functioning kidney.IIIATumour involves lower third of the vagina, with no extension to the pelvic wall.IIIBExtension to the pelvic wall and/or hydronephrosis or non-functioning kidney.IVThe carcinoma has extended beyond the true pelvis or has involved (biopsy-proven) the mucosa of the bladder or rectum. A bullous edema, as such, does not permit a case to be allotted to stage IVIVASpread of the growth to adjacent organs.IVBSpread to distant organs.Reference: Novak's gynaecology; 14th edition; Chapter 35; Uterine cancer